A patient presents with signs of pneumonia. The bacterium obtained from sputum was a Gram positive cocci which showed alpha hemolysis on sheep agar. Which of the following test will help to confirm the diagnosis ?
1. Bile solubility
2. Coagulase test
3. Bacitracin test
4. CAMP test

Correct answer: 1. Bile solubility